Mi's expression of the following homeobox genes alters the position of the forelimbs during development
1. HOX A7
2. HOX B8
3. HOX C9
4. HOX D 10

Correct answer: 2. HOX B8

Explanation: The carnival limit of expression of HOX B8 is at the carnival border of the forelimbs, and the mid - expression of this gene alters the position of these limbs Position of the limbs along the craniocaudal axis in the flank regions of the embryo is regulated by the HOX genes expressed along this axis. Ref: Gray's 39e/p-1289